On consumption of which aminoacid, requirement of methionine is reduced because of sparing effect?
1. Homocysteine
2. Cysteine
3. Lysine
4. Arginine

Correct answer: 2. Cysteine

Explanation: Ans. is 'b' i.e., Cysteine"Adequate dietary source of cysteine 'spares' methionine".* Methionine is an essential amino acid.* Methionine is required for synthesis of cysteine (thus cysteine is non-essential amino acid)* Thus, cysteine can spare the requirment of methionine in diet.